Which of the following has maximum cholesterol content:
1. HDL
2. LDL
3. VLDL
4. Chylomicrons

Correct answer: 2. LDL

Explanation: Ans. (b) LDLRef: Harper's Biochemistry, 30th edn. pg. 254; Harper 26th ed. pg. 206* Max cholesterol- LDL* Max TG- chylomicrons (inform of triacylglycerol)* Max exogenous TG- Chylomicron* Max endogenous TG- VLDLLipoprotein, its source, composition, main lipid component and its apolipoproteinLipoproteinSourceCompositionMain lipid componentApo-lipoproteinProtein (%) Lipid (%)ChylomicronsIntestine1-298-99TriacylglycerolA-I, A-II, A-IV, B-48, C-I, C-II, C-III, EVLDLLiver (intestine)7-1090-93TriacylglycerolB-100, C-I, C-II, C-IIIIDLVLDL1189Triacylglycerol, cholesterolB-100, ELDLVLDL2179CholesterolB-100HDLLiver, intestine, VLDL, chylomicrons3268Phospholipids, CholesterolA-I, A-II, A-IV, C-I, C-II, C-III, D, EAlbuminAdipose tissue991Free fatty acid